A Ten year old boy presents to the pediatric emergency unit with seizures. Blood pressure in the upper extremity measured as 200/140 mm Hg. Femoral pulses were not palpable. The most likely diagnosis amongst the following is:
1. Takayasu Aortoarteritis
2. Renal parenchymal disease
3. Grandmal seiures
4. Coarctation of Aorta

Correct answer: 4. Coarctation of Aorta

Explanation: Answer is D (Coarctation of Aorta) Isolated upper extremity hypertension (200 / 140 mm Hg), together with absent/ diminished femoral pulses is a characteristic feature of coarctation of aorta. Although coarctation of aorta does not commonly present with seizures, these may be seen as a consequence of severe hypertension (BP = 200/140) or complications like intracranial haemorrhage (from Berry aneurysms which are more common in patients with coarctation. Coarctation of Aorta is the most likely diagnosis: Approach (Nelson/Hurst) The classic sign of coarctation of aorta is a disparity in pulsations and blood pressure in arms and legs. The femoral, popliteal, posterior tibial and dorsalis pedis pulses are weak (or absent in upto 40% of patients) in contrast to bounding pulses in the arms and carotid vessels. The blood pressure is the legs is lower than in the arms and 90% of patients with coarctation have hypertension in an upper extremity greater than 95" perecentile for age Age (yrs) 95th percentile (mm Hg) > 1 yrs 110 60 I -- 5 yrs 115 /75 6-10 yrs 125 /85 11 -- 18 yrs 140 /90 A blood pressure of 200 /140 mm Hg in a 10 year old boy suggests severe hypertension (95" percentile at 10 years -- 125/85) Severe hypertension may be seen as a consequence of persistant hypertension in an individual who has not undergone corrective surgery for coarctation, and this usually appears in the second or third decade of life (Hurst) Children with severe/malignant hypertension may develop headaches, seizures and stroke (haemorrhage from Berry aneurysms which are more common in patients with coarctation). Takayasu Aortoarteritis may also present with severe hypertension and absent femoral pulses due to acquired midaortic coarctation but this is an uncommon presentation in Takavasu aortoarteritis (and hence not the single best answer of choice) Takayasu arteritis (or non specific aortoarteritis) is a chronic vasculitis disease of medium and large sized arteries with a strong predilection for aortic arch and its branches. This may lead to stenosis of the involved vessels and hence a picture of acquired coarctation. It may thus produce a clinical picture similar to that of coarctation with disparity in pulsations and blood pressure in arms & legs with hypertension depending on the site of the acquired stenosis. However, this condition is more common in women and most commonly affects the subclavican artery. Hence it more commonly presents with claudication, along with unequal and reduced pulses / BP in the upper extremity than the lower extremity. Also systemic symptoms are more common is Takayasu than in coarctation. Nevertheless Takayasu arteritis may affect the Thoracic or Abdominal aorta and present with absent lower limb pulses and upper extremity hypertension like coarctation of aorta. Takayasu arteritis can be picked as the answer if Coarctation of aorta is not provided amongst the options